Not a layer of retina:
1. Outer limiting membrane
2. Retinal pigment epithelium
3. Bowman's membrane
4. Ganglion cell layer

Correct answer: 3. Bowman's membrane

Explanation: Layers of the retina, from the outside inwards Retinal Pigment Epithelium Layer of rods and cones External (Outer) limiting membrane Outer nuclear layer Outer plexiform layer Inner nuclear layer Inner plexiform layer Ganglion cell layer Layer of optic nerve fibres Internal (Inner) limiting membrane The neural retina meets the optic nerve at the optic. disc (or optic papilla), which is devoid of photoreceptor cells, forming a blind spot in the visual field. The fovea, lateral to the optic disc, is the area of greatest visual acuity, and is surrounded by a yellow pigmented zone called the fovea lutea. Bowman's membrane is present in cornea